Radiopharmaceutical used for liver scan is
1. Technetium 99m sulphur colloid
2. Tc99m mebrofenin
3. Tc-99m MIBI
4. Tc99m DTPA

Correct answer: 1. Technetium 99m sulphur colloid

Explanation: A radio active subtance called radio pharmaceutical is formed or radio active tracer is formed by addition of a radioactive atom to a moleclue absorbed by a normal liver tissue.